In TRIAGE system for disaster management, Red colour code indicates?
1. About to die patients
2. Uninjured patients
3. High priority or transferable cases
4. Dead or moribund cases

Correct answer: 3. High priority or transferable cases

Explanation: Ans. c (High priority or transferable cases) (Ref. Park Textbook of PSM 22nd/pg.741)TRIAGEIt consists of rapidly classifying the injured on the basis of the severities of their injuries and the likelihood of their survival with prompt medical intervention.Four colour coding# Red - High priority or transferable cases# Yellow - medium priority# Green - ambulatory patients# Black - dead or moribund patients.